Most common intracranial neoplasm
1. Gliomas
2. Meningioma
3. Metastasis
4. Schwamoma

Correct answer: 3. Metastasis

Explanation: M/c intracranial neoplasm - Metastasis.
M/c primary intracranial neoplasm - Gliomas.
M/c extra - axial intracranial neoplasm - Meningioma.